The central part of cholesteatoma contains which of the following?
1. Keratin debris
2. Keratinized squamous epithelium
3. Coulmnar epithelium
4. Fibroblasts

Correct answer: 1. Keratin debris

Explanation: Cholesteatoma consist of two parts: 1. Matrix is made up of keratinizing squamous epithelium resting on a thin stroma of fibrous tissue. 2. The central part consists of keratin debris produced by matrix. For this reason, it has also been named epidermis or keratoma. Ref: PL Dhingra 7th edition of Ear, Nose and Throat; Pg no 73